Cut off limit for deoxygenated hemoglobin for appearance of cyanosis is?
1. >4 gm%
2. >5 gm%
3. < 2 gm%
4. <4 gm%

Correct answer: 2. >5 gm%

Explanation: Ans. B >5gm%Ref: Ganong, 25th ed. pg. 642Cyanosis appears whenever the magnitude of reduced hemoglobin level of blood in capillaries is >5 gm%.